Thickness of cornea is best measured by:
1. Keratometer
2. Pachymeter
3. Optometer
4. Pentoscope

Correct answer: 2. Pachymeter

Explanation: Ans. Pachymeter